In clinical practice, most common psychiatric illness seen is:
1. Maniac disorder
2. Schizophrenia
3. Depressive disorder
4. Bipolar disorder

Correct answer: 3. Depressive disorder

Explanation: Ans. (c) Depressive disorderRef. Kaplan synopsis 10thed./ 528-30* Most common psychiatric disorder in India and worldwide: Major depression* Female is most commonly affected as compared to males* Depression is the most common psychiatric disorder associated with severe medical illness like hypothyroidism, cancer, AIDS, post MI etc.